Total parenteral nutrition should have
1. Proteins not carbohydrates
2. Lipid administration < 0.11 g\/kg\/hr
3. 2 in 1 solution contains lipid
4. 10% of total calories is provided as lipids

Correct answer: 2. Lipid administration < 0.11 g\/kg\/hr

Explanation: .Components used in TPN * Carbohydrates. * Fat and amino acids. * Vitamins and trace elements. Monitoring the patient by body weight, fluid balance, blood glucose, electrolytes, blood urea, LFT serum calcium, magnesium, phosphate should be done at regular intervals. A weight gain more than one kg/day signifies fluid overload. ref:SRB's manual of surgery,ed 3,pg no 89